The function of the preoptic nucleus of the hypothalamus
1. Temperature regulation
2. Thirst
3. GI stimulation
4. Satiety centre

Correct answer: 1. Temperature regulation

Explanation: Functions of Hypothalamus
-        Thermoregulation- Preoptic region

Anterior hypothalamus- Heat response​
Posterior hypothalamus- Cold response

-        Satiety centre- ventromedial nucleus
-        Feeding centre- Lateral nucleus
-        Circadian rhythm- Suprachiasmatic nucleus
-        Sleep
-        Sex drive-  Anterior hypothalamus, Posterior hypothalamus.
-        Hypophysis regulation